Which of following inhibitor in TCA cycle acts by blocking citrate -
1. Fluroacetate
2. Arsenite
3. Malonate
4. None of the above

Correct answer: 1. Fluroacetate

Explanation: A i.e. Fluroacetate